A patient was advised Treadmill test, but he had lost both his limbs and then he was advised a stress test. The drug used for this test is:
1. Dopexamine
2. Dopamine
3. Dobutamine
4. Dipevefrine

Correct answer: 3. Dobutamine

Explanation: Uses of dobutamine Short-term treatment of cardiac decompensation that may occur after cardiac surgery or in patients with congestive heart failure or acute myocardial infarction An infusion of dobutamine in combination with echocardiography is useful in noninvasive assessment of patients with coronary artery disease Stressing of the heart with dobutamine may reveal cardiac abnormalities in carefully selected patients.